Haagensen's signs of inoperability of Carcinoma include all except-
1. Oedema of skin of breast or arm
2. Satellite tumor nodules in skin of breast
3. Proved supraclavicular or distant metastases
4. None

Correct answer: 4. None

Explanation: Ans. is 'd' i.e. None of the above Haagensen's criteriae of inoperability 1. Extensive edema of the breast 2. Satellite nodules of carcinoma 3. Inflammatory carcinoma 4. A parasternal tumor, indicating spread to the internal mammary nodes 5. Supraclavicular metastasis 6. Edema of the arm. 7. Distant metastasis.